Acute meningitis in adolescents and young adults is caused by -
1. N. meningitidis
2. H. Influenzae
3. Streptococcus
4. E. coli

Correct answer: 1. N. meningitidis